which of the following doesnt contribute to floor of 4th ventricle
1. fascial nucleus
2. locus cerulens
3. vestibular choclear nucleus
4. hypoglossal trigone

Correct answer: 1. fascial nucleus

Explanation: Fourth Ventricle * Roof of the fourth ventricle -Formed by thin laminae of white matter. The lower has a median aperture (foramen of Magendie); cerebrospinal fluid escapes through this opening and lateral apertures into the subarachnoid space. Because these are the only communications between the ventricular and subarachnoid spaces, their blockage can produce one type of hydrocephalus. * The floor of the fourth ventricle, also known as rhomboid fossa, is formed by the dorsal surfaces of the pons and medulla oblongata. Fourth Ventricle and Cerebellum Posterior View ref : BD CHAURASIA